Non-noxious stimulus is perceived as pain in:
1. Allodynia
2. Hyperalgesia
3. Paraesthesia
4. Hyperpathia

Correct answer: 1. Allodynia

Explanation: Allodynia Terminology of sensory disturbances: Allodynia perception of nonpainful stimulus as painful, even excruciating. Paraesthesia pins and needle sensation, tingling (may include a wide variety of other abnormal sensations, except pain) Dysesthesia all types of abnormal sensations including painful ones Hyperesthesia pain or increased sensitivity in response to touch Hyperalgesia severe pain in response to a mildly noxious stimulus Hyperpathia is a broad term encompassing all the phenomena described by hyperesthesia, allodynia, and hyperalgesia